Which muscle is attached to the disc of the temporomandibular joint?
1. Buccinator
2. Lateral pterygoid
3. Masseter
4. Temporalis

Correct answer: 2. Lateral pterygoid

Explanation: Ans. is 'b' i.e., Lateral pterygoid Temporomandibular joint* It is a synovial, bicondylar joint between the mandibular fossa and articular tubercle of temporal bone above and the head of mandible below. The joint is completely divided into two compartments (upper and lower) by a fibro cortilaginous articular disc. Ligaments of TM joints are fibrous capsule, Lateral temporomandibular ligament, and stylomandibular ligament.* The articular disc is a fibrocartilaginous disc which divides joint cavity into an upper and a lower compartment. The upper compartment permits gliding movement and the lower compartment permits rotatory as well as gliding movements. The articular disc represents the degenerated premitive insertion of lateral pterygoid: Central portion of articular disc is least vascular. Articular disc acts as shock absorber, prevents friction between articular surfaces and also has proprioceptive function. Articular disc also increases the area of contact and hence helps in distribution of weight across the joint.* There are following movements in TM joints1) Protrusion (protraction of chin) Lateral and medial pterygoid of both sides acting together, assisted by superficial fibers of masseter. But most important muscle for protrusion is lateral pterygoid2) Retraction (Retraction of chin) Posterior fibers of temporalis assisted by deep fibers of masseter. But most important muscle for protrusion is latral pterygoid.3) Elevation (Closing of mouth) Masseter, temporalis, and medial pterygoid, of both sides.4) Depression (opening of mouth) Both lateral pterygoids assisted by digastric, mylohyoid and geniohyoid.5) Side to side (lateral) movementLateral and medial pterygoid of one side acting alternately with each other.* Dislocation of mandible occurs when mouth is opened too widely by excessive contraction of lateral pterygoid. Head of the mandible slips anteriorly into infratemporal fossa.* TM joints is supplied by auriculotemporal nerve and masseteric nerve.